Profound analgesia is produced by which parenteral anaesthetic ?
1. Thiopental
2. Propofol
3. Ketamine
4. Etomidate

Correct answer: 3. Ketamine